Most dominant colonic bacteria is -
1. E. coli
2. Bacteroides
3. Clostridium
4. Veilonella

Correct answer: 2. Bacteroides